Varicella belongs to which family of virus
1. Adeniviridae
2. Paxviridae
3. Papovaviridae
4. Herpesviridae

Correct answer: 4. Herpesviridae

Explanation: Genus - varicellovirus Family -herpesviridae Subfamily-herpesvirinae Official name-Human herpes virus 3